Exhibitionism is -
1. Shameless exposure of genitals
2. Exhibiting one's possessions
3. A type of mania
4. Not a sexual persuasion

Correct answer: 1. Shameless exposure of genitals

Explanation: Exposure of one's genital organs to strangers or others is called exhibitionism.